Embryo proper is derived from
1. Cytotrophoblast
2. Inner cell mass
3. Syncytotrophoblast
4. Amniogenic cells

Correct answer: 2. Inner cell mass

Explanation: Outer cell mass forms trophoblast.
Inner cell mass forms embryoblast.